Most common cause of pseudoaneurysm -
1. iv drug abuse
2. Trauma
3. Congenital
4. None

Correct answer: 2. Trauma

Explanation: Ans. is 'b' i.e.,Trauma